Tardy ulnar nerve palsy seen in?
1. Malunited supra condylar fracture
2. Malunited lateral condylar fracture
3. Malunited medial condylar fracture
4. Fracture both bones of forearm

Correct answer: 2. Malunited lateral condylar fracture

Explanation: ANSWER: (B) Malunited lateral condylar fractureREF: Apley 8th ed p. 599TARDY ULNAR NERVE PALSY:Seen after fracture of lateral condyleLate complication , may be seen years after the injuryMotor loss occurs first followed by sensory changesCubitus valgus deformity leads to stretching of medial structures including ulnar nerve